Mechanism of action of clonidine is mediated by which of the following receptors?
1. Alpha 1
2. Alpha 2
3. Beta 1
4. Beta 2

Correct answer: 2. Alpha 2